Not present in the proximal row of carpal bone?
1. Lunate
2. Scaphoid
3. Trapezium
4. Pisiform

Correct answer: 3. Trapezium

Explanation: CARPAL BONES The proximal row of carpal bones contains ( from lateral to medial) Scaphoid Lunate Triquetral Pisiform The distal row contains in the same order Trapezium Trapezoid Capitate Hamate REF: B D Chaurasia 7th edition Page no : 25.